The lens can be dislocated in all except -
1. Homocystinuria
2. Marfan’s syndrome
3. Trauma
4. Wilson’sdisease

Correct answer: 4. Wilson’sdisease

Explanation: Ectopia lentis 

Ectopia lentis is defined as displacement or malposition of the crystalline lens of the eye.
The lens is considered dislocated (luxated) when it lies completely outside the lens patellar fossa.
The lens is described as subluxated when it is partially displaced but contained within the lens space. Causes are